Lymph Nodes not involved in Cervical cancer
1. Para aortic Lymph nodes
2. Obturator Lymph Nodes
3. Hypogastric Lymph Nodes
4. Femoral Lymph Nodes

Correct answer: 4. Femoral Lymph Nodes

Explanation: Lymphatic spread of Cervical Cancer includes: Pelvic nodes Parametrial Obturator Internal iliac External iliac Common iliac Sacral Para aortic nodes Reference : Textbook of Gynaecology; Sheila balakrishnan; 2nd edition; Pg no: 258